Acellular cementum
1. Has no cells
2. Has cells trapped in cementum called cementocytes
3. Is formed throughout life
4. All of the above

Correct answer: 1. Has no cells